True regarding Metanafysis is/Systematic review: (Question stem - incomplete)
1. Systematic review is same as narrative review
2. RCT is better design than Met analy si ^systematic review
3. Top of study design pyramid
4. Not applicable for case-control study

Correct answer: 3. Top of study design pyramid

Explanation: Ans: C (Top of study design pyramid) Ref: style="font-size: 1.04761904761905em; font-family: Times New Roman, Times, serif"> and Evidence-Based Medicine is the integration of best research evidence with clinical expertise and patient values. (Sackett DL, Straus SE, Richardson WS,, etal. Evidence-based medicine: How to Practice and teach EBM, 2nd ed, Edinburgh: Churchill Livingstone, 2000)Explanation:All the study designs can have metaanalysis and systematic reviewIn ail those designs, metanalysis forms top of the evidence pyramid.Among basic study designs RCT is at the top of evidence pyramid.However, metanalysis of RCTs would result in better conclusion than single small RCT.Systematic review is different from narrative review as narrative review will not have analytical points.Systematic reviews vs. non-systematicFeatureSystematic reviewNarrative reviewQuestionOften a focused one questionOften broad in scopeSources and searchComprehensive sources and explicit search strategyNot usually specified, potentially biasedSelectionCriterion-based selection, uniformly appliedNot usually specified, potentially biasedAppraisalRigorous critical appraisalVariableQualitative summary that includes statistical synthesis (meta-analysis)SynthesisOften a qualitative summaryInferencesUsual! y evidence-basedSometimes evidence-basedSystematic Reviews Vs Meta-AnalysesSystematic ReviewsMeta-analyses# Identify and critique relevant research studes# Identify relevant research studies using a defined protocol# Discuss factors that may explain heterogeneity# Statistical test study heterogeneity and investigate explanatory variables# Synthesize the knowledge# Statistically summarize results to obtain an overall estimate of treatment effect.